21st Amino acid is
1. Selenocysteine
2. Valine
3. Tyrosine
4. Hydroxyproline

Correct answer: 1. Selenocysteine

Explanation: Selenocysteine, the 21st Amino AcidSelenocysteine is present at the active site of several human enzymes that catalyze redox reactions. Examples include thioredoxin reductase, glutathione peroxidase, and the deiodinase that converts thyroxine to triiodothyronine.Ref: Harper's Biochemistry; 30th edition; Chapter 27 Biosynthesis of the Nutritionally Nonessential Amino Acids